Which of the following is not a criteria suggesting casuality in non communicable diseases ?
1. Strength of association
2. Dose response relationship
3. Specificity of association
4. Lack of temporal association

Correct answer: 4. Lack of temporal association

Explanation: Ans. is 'd' i.e., Lack of temporal association It is the presence of temporal association (not lack or absence) that forms a criteria for causal relationship. Criteria that suggest causal relationship (Bradford Hill's criteria) o Likehood of a causal relationship is increased by the presence of the following criteria. 1) Temporal association 2) Strength of association 3) Specificity of association 4) Consistency of association 5) Biological plausibility 6) Coherence of association o Hill's criteria (sometimes also known as 'Surgeon general's Criteria' of causal association): in epidemiology are Analogous to Koch Postulates (of causal association between a microbe and disease) in microbiology.